National Leprosy Eradication Programme was started in –
1. 1949
2. 1955
3. 1973
4. 1983

Correct answer: 4. 1983